Age related changes in lower urinary tract of women include all except
1. Decreased Oestrogen results in atrophy of urethral mucosal seal.
2. Total bladder capacity decreases.
3. Reduced urinary flow rate due to decreased detrusor contractility.
4. Decrease in involuntary detrusor contractions.

Correct answer: 4. Decrease in involuntary detrusor contractions.

Explanation: Involuntary detrusor contractions increase with age.